In human corneal transplantation, the donor tissue is –
1. Synthetic polymer
2. Donated human cadaver eyes
3. Donated eyes from live human beings
4. Monkey eyes

Correct answer: 2. Donated human cadaver eyes

Explanation: In corneal transplantation or keratoplasty the diseased cornea is removed and replaced with healthy cornea, obtained from cadavers.